Heat labile instruments for use in surgical procedures can be best sterilized by -
1. Absolute alcohol
2. Ultraviolet rays
3. Chlorine releasing compounds
4. Ethylene oxide gas

Correct answer: 4. Ethylene oxide gas

Explanation: Ans. is `d' i.e., Ethylene oxide gas